Curshmann's spirals are seen in:
1. Bronchial asthma
2. Bronchial carcinoid
3. Chronic bronchitis
4. All of the above

Correct answer: 1. Bronchial asthma

Explanation: Ans. a (Bronchial asthma). (Ref. Robbins, Pathology, 7th ed., 726)MORPHOLOGICAL CHANGES IN ASTHMA# Over-inflated over-distended lungs# Creola bodies# Charcot-Leyden crystals# Curshmann's spirals (mucus plugs with whorls of shed epithelium)- Tenacious mucus plugs (most striking finding)- Numerous eosinophils- Airway remodeling.